Ulcterative colitis associated features include all except:
1. Iritis
2. Arthritis
3. Urethritis
4. Pyoderma

Correct answer: 3. Urethritis

Explanation: Bloody diarrhea is the hallmark feature of ulcerative colitis. Extracolonic manifestations include: Erythema nodosum Pyoderma gangrenosum Episcleritis Iritis Thrombo-embolic events Oligo-articular, non-deforming arthritis. In patients who are HLA B27-seropositive, there may be anterior uveitis or ankylosing spondylitis which is independent of colitis activity.